A 10-year-old girl is admitted to the emergency department after falling from a tree in which she was playing with her friends. Radiographic and physical examinations reveal Osgood-Schlatter disease. Which of the following bony structures is chiefly affected?
1. Medial condyle of tibia
2. Posterior intercondylar area
3. Intercondylar eminence
4. Tibial tuberosity

Correct answer: 4. Tibial tuberosity

Explanation: (d) Solution: GAS 558, 559, 630; GA 4, 6, 272, 284 Osgood-Schlatter disease is also called tibial tuberosity apophysitis and affects the area of the tibial tuberosity. It is not a disease but a problem of overuse, typically in boys of 12 to 14 years or girls 10 to 12 years of age. Very active boys and girls, usually during a growth spurt, are subject to the pain and swelling that occur at the site of attachment of the patellar ligament. The ligament can tear, resulting in a long period of healing following treatment. The medial femoral condyle is the area of attachment of the medial collateral ligament and medial meniscus of the knee joint. The posterior intercondylar eminence is the location of origin of the posterior cruciate ligament. The intercondylar eminence is a bony protuberance on the tibial plateau to which the cruciate ligaments and menisci are attached. The anterolateral tibial tubercle, or Gerdy's tubercle, is the attachment of the iliotibial band or tract; thus it connects the femur and tibia laterally.